Elevated androgens in PCOD
1. Convert terminal hair to vellus hair irreversibly.
2. Convert vellus hair to terminal hair irreversibly.
3. Reversible conversion of vellus hair to terminal hair.
4. Reversible conversion of terminal hair to vellus hair.

Correct answer: 2. Convert vellus hair to terminal hair irreversibly.

Explanation: Elevated androgen convert vellus hair into coarse terminal hair. This conversion is irreversible.